A deficiency of pancreatic exocrine secretion can result in which one of the following?
1. An increased pH in the intestinal lumen
2. An increased absorption of fat-soluble vitamins
3. A decreased formation of bile salt micelles
4. Increased levels of blood chylomicrons

Correct answer: 3. A decreased formation of bile salt micelles

Explanation: The pancreas produces bicarbonate (which neutralizes stomach acid) and digestive enzymes (including pancreatic lipase and colipase, enzymes that degrade dietary lipids). The decreased production of bicarbonate will lead to a decrease in intestinal pH. Lower levels of pancreatic lipase will result in the decreased digestion of dietary triacylglycerols, which will lead to the formation of fewer bile salt micelles. The reduced pH will also interfere with the ability of the bile salts to effectively form micelles. Intestinal cells will have less substrate for chylomicron formation, and less fat-soluble vitamins will be absorbed. More dietary fat will be excreted in the feces.